The sigmoid nature of Hb-O2 dissociation curve is because of
1. Binding of one O2 molecule increase the affinity for the next O2 molecule
2. Alpha chain has more affinity for O2 than beta chain
3. Beta chain has more affinity for O2 than alpha chain
4. Hemoglobin is acidic in nature

Correct answer: 1. Binding of one O2 molecule increase the affinity for the next O2 molecule